All are aminoglycosides except :
1. Netilmycin
2. Streptomycin
3. Kanamycin
4. Azithromycin

Correct answer: 4. Azithromycin